Proteins are sorted by:
1. Golgi Bodies
2. Mitochondria
3. Ribosomes
4. Nuclear Membrane

Correct answer: 1. Golgi Bodies

Explanation: The Golgi apparatus is involved in the glycosylation and sorting of proteins. Ref: Biochemistry By Mary K. Campbell, Shawn O. Farrell, 7th Edition, Page 21; Harper's Textbook of Biochemistry, 27th Edition, Pages 506, 518